Which of the following acts by inhibition of 30 S ribosome -
1. Tetracycline
2. Chloramphenical
3. Erythromycin
4. Penicillin

Correct answer: 1. Tetracycline

Explanation: Ans. is 'a' i.e., Tetracycline